Halban's disease is due to
1. Persistent corpus luteum
2. Deficient corpus luteum
3. Persistent trophoblast
4. Deficient trophoblast

Correct answer: 1. Persistent corpus luteum

Explanation: Halban's disease: Rare, self-limiting process. Also called Irregular shedding endometrium Due to persistent corpus luteum due to incomplete withdrawal of LH even on 26 in day of cycle. The corpus luteum continues to secret progesterones Menstruation comes on time, is prolonged but not heavy. Slight bleeding continues intermittently for several days after proper flow. On D& C done on 5-6th of cycle - endometrial tissue shows presence of proliferative endometrium along with secretory endometrium